Maintenance of high urinary pH is important during methotrexate treatment because:
1. Bladder irritation is reduced
2. It decreases renal tubular secretion of methotrexate
3. Leucovorin toxicity is increased in a dehydrated patient
4. Methotrexate is a weak acid

Correct answer: 4. Methotrexate is a weak acid

Explanation: Methotrexate is a weak acid and is reabsorbed in acidic urinary pH. Higher plasma concentration may result in toxicity. Therefore, to decrease the reabsorption through renal tubules, high urinary pH must be maintained.